Rhinophyma is a condition characterised by which of the following?
1. Sweat gland hypertrophy
2. Perioral dermatitis
3. Hyperplasia of sebaceous glands
4. Butterfly rash on the nose

Correct answer: 3. Hyperplasia of sebaceous glands

Explanation: Rhinophyma is a manifestation of rosacea. The condition usually occurs in men over the age of 40. It consists of knobby nasal papules which grow with time. It is caused by marked sebaceous hyperplasia. It is rarely seen in women. Recontouring procedures and laser surgery are used in the treatment.